Most common malignancy in maxillary Sinus is:
1. Squamous cell Ca
2. Muco-epidermal Ca
3. Adeno-cystic Ca
4. Adenbcarcinoma

Correct answer: 1. Squamous cell Ca

Explanation: Malignant tumors of the nasal cavity and paranasal sinuses are rare, with poorly differentiated squamous cell carcinoma of the maxillary sinus being the most common.